Rain drop pigmentation is seen in:-
1. Arsenic poisoning
2. Phosphorous poisoning
3. Mercury poisoning
4. All of the above

Correct answer: 1. Arsenic poisoning

Explanation: * Arsenic poisoning A Anemia / Aldrich mee's line / Arsenophagist (Tolerate up to 300mg)R Rain drop pigmentation / Reinsch test / Red velvety mucosa S Sub endocardial hemorrhages / Sensory neuropathy E EruptionsN NAA (neutron activation analysis)I Imbibition of arsenic (Arsenic imbibed from surrounding soils after death)C Cumulative poison / Cholera like symptom / Chelation for Rx * Phosphors poisoning - 4 'P'P - Protoplasmic poison P - Phossy jaw (lucifer's jaw) P - Photo luminescent P - Purpura * Mercury poisoningS - Strawberry tongue L - Mercuria lentisA - Acrodynia T - Tremor E - Erythism Grey - Glass blower's shake Mucosa - Minamata disease.